. Most common post operative complication of ileo anal pouch anastomosis in ulcerative colitis is:
1. Pouchitis
2. Pelvic abscess
3. Small bowel obstruction
4. Perianal complication

Correct answer: 1. Pouchitis